USG can detect gestation sac earliest at –
1. 5–6 weeks of gestation
2. 7–8 weeks of gestation
3. 10 weeks of gestation
4. 12 weeks of gestation

Correct answer: 1. 5–6 weeks of gestation

Explanation: The gestational sac can be visualized as early as 41/2 weeks by transvaginal USG and 5 weeks by transabdominal USG.